Fabella is present in:
1. Medial head of gastrocnemius
2. Lateral head of gastrocnemius
3. Adductor magnus
4. Adductor longus

Correct answer: 2. Lateral head of gastrocnemius

Explanation: Ans. B Lateral head of gastrocnemiusRef: Kulkarni Clinical Anatomy, 2nd ed. pg. 580* Fabella is a small sesamoid bone present in tendon of origin of lateral head of gastrocnemius.